Total number of dehydrogenases Krebs cycle
1. 3
2. 2
3. 4
4. 5

Correct answer: 3. 4

Explanation: Isocitrate dehydrogenase (ICD) enzyme succinate dehydrogenase Malate dehydrogenase a-ketoglutarate dehydrogenaseRef: MN Chatterjea Textbook of Medical Biochemistry, 8th edition, page no: 339